The braggs peak is found in:
1. Proton beam
2. Microwave
3. UV Rays
4. Infrared

Correct answer: 1. Proton beam

Explanation: Ref: Internet source: Medscape RadiologyExplanation:Bragg peak is a concept utilized in giving focused radiotherapy using ionizing radiation to a tumor without affecting the normal healthy surrounding tissuesOptions B.C and D are examples of non-ionizing radiation.Bragg's peakThe Bragg peak is a peak on the Bragg curve which plots the energy loss of ionizing radiation during its travel through matter.For protons, a-rays and other ion rays, the peak occurs immediately before the particles come to rest. This is called Bragg peak.When a fast charged particle moves through matter, it ionizes atoms of the material and deposits a dose along its path.A peak occurs because the interaction cross section increases as the charged particle's energy decreases.Absorption of a beam of energetic photons (X- ravs) which is entirely different in nature; the curve is mainly exponential.The phenomenon is exploited in particle therapy of cancer, to concentrate the effect of light ion beams on the tumor being treated while minimizing the effect on the surrounding healthy tissue.Monenergistic proton beam with the sharp peak is widened by increasing the range of energies, so that a larger tumor volume can be treated.This can be achieved by using variable thickness attenuators like spinning wedges.